Child with h/o hypopigmented macule on back, infantile spasm and delayed milestone has
1. NF
2. Sturge weber syndrome
3. Tuberous sclerosis
4. Nevus anemicus.

Correct answer: 3. Tuberous sclerosis

Explanation: C i.e. Tuberous sclerosis